Chronotropic effect means:-
1. Drugs affecting the contractility of heart
2. Drugs affecting heart rate
3. Drugs affecting the myocardial blood flow
4. Drugs affecting diastolic relaxation

Correct answer: 2. Drugs affecting heart rate

Explanation: Effect Meaning Example Positive chronotropic Increase in heart rate Adrenaline Negative chronotropic Decrease in heart rate Acetylcholine Positive inotropic Increase in contractility Dobutamine Negative inotropic Decrease in contractility Verapamil Positive dromotropic Increase in AV conduction Dobutamine Negative dromotropic Decrease in AV conduction Vagal stimulation